Investigation of choice to evaluate intracranial hemorrhage of less than 48 hours is -
1. CT scan
2. MRI
3. PET
4. SPECT

Correct answer: 1. CT scan

Explanation: Ans. is 'a' i.e., CT o Procedure of choice for emergent evaluation of acute intracerebral hemorrhage - CT scan.